Air-borne contact dermatitis can be diagnosed by-
1. Skin biopsy
2. Patch test
3. Prick test
4. Estimation of serum IgE levels

Correct answer: 2. Patch test

Explanation: air borne contact dermatitis is diagnosed by patch testing with the specific allergen. eg: pahenium is the common allergen tested using patch test. IADVL TEXTBOOK OF DERMATOLOGY, INDIAN PATCH TEST SERIES PAGE 581.